Simple partial seizures DOC
1. Phenytoin
2. Valproate
3. Barbiturate
4. Carbamazepine

Correct answer: 4. Carbamazepine

Explanation: CBZ is used for simple partial seizures